The first sign of tetanus is
1. Dysphagia
2. Neck stiffness
3. Back pain
4. Trismus

Correct answer: 4. Trismus